Suraksha clinic is involved in the treatment of:
1. Malnutrition
2. Sexually transmitted diseases
3. Malaria
4. Leprosy

Correct answer: 2. Sexually transmitted diseases

Explanation: Under National AIDS Control Organisation (NACO), services for sexually transmitted diseases have been termed as Suraksha clinic. Ref: Park 21st edition, page 397.